Which of the following is not a non-sedating antiallergic drug?
1. Cetrizine
2. Astemizole
3. Terfenadine
4. Triprolidine

Correct answer: 4. Triprolidine

Explanation: Ans. is 'd' i.e., Triprolidine o Second generation antihistaminics have no CNS depressant action (sedation, diminished alertness) o Cetrizine, astemizole and terfenadine are second generation antihistaminics. o Triprolidine is first generation antihistaminic with mild sedative property.